Renal biopsy is Contraindicated in all except ?
1. Uncontrolled hypertension
2. Solitary kidney
3. Kidneys <60% predicted size
4. Nephrotic syndrome in adults

Correct answer: 4. Nephrotic syndrome in adults

Explanation: Nephrotic syndrome is indication for Renal biopsy.